Adenosine deaminase (enzyme) deficiency is associated with:
1. Severe combined immunodeficiency (SCID)
2. X-linked agammaglobulinemia
3. Transient hypogammaglobulinemia of infancy
4. Chronic granulomatous disease

Correct answer: 1. Severe combined immunodeficiency (SCID)

Explanation: SCID- defect in common gamma chain of IL2 receptor along with IL-4,7 2nd M/C defect is -ADA deficiency total absence of T and B cell deficiency of PNP (purine nucleoside phosphorylase) X-linked agammaglobulinemia/ bruttons agamma globulinemia- defect in B tyrosine kinase gene pro B cell to pre B cell formation defect Transient hypogammaglobulinemia- delayed onset of normal IgG synthesis, self limiting. Chronic granulomatous disease- deficiency of NADPH oxidase. led to reccurent catalase positive infection eg.:-staph.